Nerve injured in inferior dislocation of shoulder is:
1. Axillary nerve
2. Median nerve
3. Ulnar nerve
4. Radial nerve

Correct answer: 1. Axillary nerve

Explanation: Reference: Apley's System of Orthopaedics and Fractures 9th edition, Page 743Explanation:Inferior dislocation of the shoulder or luxatio erectaIt is a rare type of dislocation caused by forceful hyper abduction. which causes the humerus to hitch on the acromion and the humeral head to be levered out of its socket and displace into the axilla.The patient presents with the arm held erect in hyper abduction. This is also called subglenoid variety.As the force is of high intensity, the soft tissue injuries are marked and includes avulsion of the capsule and surrounding tendons, rupture of muscles, fractures of the glenoid or proximal humerus and damage to the brachial plexus and axillary artery.The nerve commonly injured here is the axillary which has a short fixed course from the back of the plexus, around the medial side of the neck to the back - a course which makes it difficult for the nerve to escape traction when the humeral head is displaced.Axillary nerve involvement causes paralysis of the deltoid and the teres minor and loss of sensation of skin covering the lateral aspect of the inferior part of the deltoid regimental badge anaesthesia'.